Which of the following is a non-invasive test used to diagnose fetal Rh genotype in Rh D alloimmunization?
1. Cell free fetal DNA
2. Chorionic villus sampling
3. Amniocentesis
4. Middle cerebral artery peak systolic velocity

Correct answer: 1. Cell free fetal DNA

Explanation: Fetal Rh D genotype assessment from maternal blood offers several potential benefits. Administration of anti-D immune globulin to an Rh D-negative pregnant woman carrying an Rh D-negative fetus can be eliminated.In the setting of Rh D alloimmunization, early identification of an Rh D-negative fetus can avoid unnecessary amniocentesis and/or serial fetal middle cerebral artery Doppler assessment. Rh D genotype evaluation using cell-free fetal DNA is done using real-time RTPCR to target multiple exons of the RHD gene(Ref: William's Obstetrics; 25th edition)